Epinephrine not used in :
1. Uveitis glaucoma
2. Open angle glaucoma
3. Aphakic glaucoma
4. Neovascular glaucoma

Correct answer: 3. Aphakic glaucoma

Explanation: C i.e. Aphakic glaucoma Epinephrine (sympathomimetic drugs) should be avoided in aphakics Q due to possibility of cystoid macular oedema and in narrow angle glaucoma Q because mydriasis may precipitate the attack. In inflammatory glaucoma (uveitis glaucoma), prostaglandin analogue & pilocarpine are contraindicatedQ Miotics (e.g. pilocarpine) makes the iris thin & pulls it away from lens removing the pupillary block, increasing the chances of posterior synechiae (due to stretching & increased surface of iris) and restoring aqueous flow by opening irido-corneal angle. Anterior chamber becomes deep Q due to stretching of iris (which was earlier piled up.)